Best uterine relaxation is seen with
1. Chloroform
2. Nitrous oxide
3. Ether
4. Halothane

Correct answer: 4. Halothane

Explanation: Refer Katzung 10/e p 405 Halogentaed inhalational anesthestic agents like Halothane are powerful tocolytic agents Halothane is anaesthetic of choice for internal version and manual removal of placenta